Subepidermal lesion are
1. Bullous pemphigoid
2. Pemphigus vulgaris
3. Hailey-Hailey disease
4. Darier's disease

Correct answer: 1. Bullous pemphigoid

Explanation: A i.e. Bullous pemphigoid